After passing his physical exam, a 19 year old army recruit gives urine and blood samples for further testing. Serum analysis yields elevated ALT, HBsAg, Anti-HBc, HBeAg, and bilirubin. All other values are normal. Which of the following is the hepatitis B status of this recruit?
1. Asymptomatic carrier
2. Chronic active carrier
3. Fulminant hepatitis B
4. Recovered from acute self-limited HBV

Correct answer: 2. Chronic active carrier

Explanation: The presence of elevated ALT, HBsAg, anti-HBc, HBeAg, and bilirubin all point to active hepatitis B. An asymptomatic carrier does not have elevated ALT and bilirubin. The absence of findings on physical examination rules out fulminant hepatitis B. Recovery from acute self-limited HBV is associated with the presence of anti-HBs and the decrease in HBsAg and HBeAg. Ref: Ray C.G., Ryan K.J. (2010). Chapter 13. Hepatitis Viruses. In C.G. Ray, K.J. Ryan (Eds), Sherris Medical Microbiology, 5e.